All of the following conditions are more common in preterm neonates EXCEPT?
1. Intraventricular hemorrhage
2. Bronchopulmonary dysplasia
3. Respiratory distress syndrome
4. Meconium aspiration syndrome

Correct answer: 4. Meconium aspiration syndrome

Explanation: Diseases more common in preterm neonates: Neonatal sepsis Resp.- Hyaline membrane disease/ Bronchopulmonary dysplasia Patent ductus arteriosus Intraventricular hemorrhage Retinopathy of prematurity Hyperbilirubinemia Meconium aspiration syndrome: A term SGA/IUGR baby, born through meconium stained liquor, presents with respiratory distress soon after birth. CXR: Hyperinflated lungs- | radiolucency of lungs Flattening of domes of diphragm Pulmonary infiltrates Segmental collapse Rx: Supportive- O2 + mechanical ventilation